The morphologic features of Neuronal cell deal consist of all EXCEPT
1. Basophilic inclusions
2. Shrinkage of cell body
3. Disappearance of Nissls Substance
4. Pyknosis of the nucleus

Correct answer: 1. Basophilic inclusions

Explanation: (A) Basophilic inclusions # Acute neuronal injury (red neuron) refers to a spectrum of changes that accompany acute CNS hypoxia/ischemia or infectious and toxic insults that ultimately lead to death of the cell.> Red neurons are evident with hematoxylin and eosin (H&E) preparations at about 12 to 24 hours after an irreversible hypoxic/ ischemic insult.> The morphologic features consist of shrinkage of the cell body, pyknosis of the nucleus, disappearance of the nucleolus, and loss of Nissl substance, with intense eosinophilia of the cytoplasm.> Often, the nucleus assumes the angulated shape of the shrunken perikaryon.> Experimental studies have defined even earlier (4 to 8 hours) structural changes that attend irreversible neuronal injury consisting of small vacuoles within the cell body; these are difficult to detect in human tissue examined post mortem